A ventilator pressure relief valve stuck in closed position can result in -
1. Barotrauma
2. Hypoventilation
3. Hypoxia
4. Hyperventilation

Correct answer: 1. Barotrauma